Reflex which is not present in child at birth is -
1. Moro's reflex
2. Symmetric tonic neck reflex
3. Crossed extensor reflex
4. Asymmetric tonic neck reflex

Correct answer: 2. Symmetric tonic neck reflex

Explanation: Ans. is 'b' i.e., Symmetric Tonic neck reflex Tonic neck reflex is divided into two types (a) Asymmetric Tonic neck reflex (b) Symmetric Tonic neck reflex Asymmetric Tonic neck reflex o Turn infants head to one side :- Extension of the Arms and legs occur on the side of the body corresponding to the direction of the face while flexion occurs in contralateral extremity o It is present at birth fully developed at 1 month and last 6-7 months Symmetric Tonic neck reflex o Extension of legs causes flexion of the arms and the`head. o Flexion of legs causes extension of the arms and the head (This is often referred to as cat's reflex ) o Not present at birth Crossed extensor reflex (Ghai 6thie p 146) o When the foot is stroked while the leg is kept extended at the knee, there is rapid flexion, adduction and then extension of the opposite leg. o It is present at birth.